In Riger mortis, first appearane occurs at
1. Neck
2. Eyelid
3. Face
4. Trunk

Correct answer: 2. Eyelid

Explanation: (Eyelid) (3.15-P)* In the involuntary muscle - Heart first affected* In the voluntary muscle - Eyelid muscles appears first*It first appearance in involuntary and then in voluntary muscles*It is not dependent on the nerve supply as it also develops in the paralysed limbsIt is tested by1. Attempting to lift the eyelids2. Depressing the jaw3. Gently bending the neck and various joints of the body*Sequence - Eyelid > face > neck and trunk > upper extremity > legs > small muscles of fingers & toes*In India rigor mortis commences in 2- 3 hours, the time since death would be within about 12-24 hours